An adult female patient presents with asthma symptoms for at least 4 days a week and wakes up at night due to breathlessness approximately 2 -3 days in a month. she is classified to be having.
1. Severe persistent Asthma
2. Mild persistent Asthma
3. Intermittent Asthma
4. Moderate persistent Asthma

Correct answer: 2. Mild persistent Asthma